Degree of diabetic retinopathy depends on
1. Type of disease
2. Duration of disease
3. Severity of disease
4. Retinal involvement

Correct answer: 2. Duration of disease

Explanation: B i.e. Duration of disease The presence & degree of diabetic retinopathy is more closely related to the duration of disease than to its severityQ. Duration of disease is the most important and best predictor Q of diabetic retinopathy. In diabetic retinopathy arteriolar changes consist of narrowing Q (not dilation) silver-wiring and obliteration resembling branch retinal artery occlusion. And venous changes are bending, looping and sausage like segmentation.